Most common oncogenic RNA virus:
1. Retrovirus
2. Picornavirus
3. Orthomyxovirus
4. Paramyxovirus

Correct answer: 1. Retrovirus

Explanation: Ans. is 'a' i.e., Retrovirus (Ref: Ananthanarayan, 9th/e, p. 565 and 8th/e, p. 563, 565)Retroviruses contain an RNA genome and an RNA-directed DNA polymerase (reverse transcriptase). Both HIV and HTLV are oncogenic retrovirus.